All are examples of cortical dementia except
1. Alzheimer's disease
2. Multiple sclerosis
3. Creutzfeldt Jacob disease
4. Pick's disease

Correct answer: 2. Multiple sclerosis

Explanation: B i.e Multiple sclerosis